PQLI includes:
1. Infant mortality, Life expectancy and Literacy
2. Maternal mortality, Life expectancy and Literacy.
3. Disability rate, Pregnancy rate and GNP
4. Longevity, Knowledge and Income

Correct answer: 1. Infant mortality, Life expectancy and Literacy

Explanation: Ans. A. Infant mortality, Life expectancy and Literacy. (Ref. Park's Textbook of PSM 22nd/pg.l6) INDEXKEY POINTS1Physical Quality of Life Index (PQLI) include# Infant mortality,# Literacy,# Life expectancy at age one.# The ultimate obj is to attain PQLI of 100.2Human Development Index (HDI) include# Longevity (Life expectancy at birth),# Knowledge (adult literacy rate & mean years of schooling), and# Income (Per capita GDP). India - 0.612 rank 1283Human Poverty Index (HPI- I & II) includes# I - a long and healthy life, knowledge and a decent standard of living# II - a long and healthy life, knowledge and a decent standard of living, social exclusion.# India - 28%. rank 88.4Gender Related Development Index (GDI)# India- 97.1% -# Reflect achievements in basic human development adjusted for gender inequalities.5Gender Empowerment Measure (GEM)# Measure gender inequalities in economic & political opportunities.